Which of the following is NOT a branch of internal carotid artery?
1. Ophthalmic artery
2. Posterior cerebral artery
3. Superior hypophyseal artery
4. Artery of Pterygoid canal (Vidian artery)

Correct answer: 2. Posterior cerebral artery

Explanation: The following are the branches of the internal carotid artery, listed by segmentC1: Branches from the cervical portion - none.C2: Branches from the petrous portionCaroticotympanic arteriesArtery of pterygoid canal (vidian artery)C3: Branches from the lacerum portion - noneC4: Branches from the cavernous portionBranches of the meningohypophyseal trunk:Tentorial basal branchTentorial marginal branchMeningeal branch - helps supply blood to the meninges of the anterior cranial fossaClivus branches - tiny branches that supply the clivusInferior hypophyseal arteryCapsular branches - supplies wall of cavernous sinusBranches of the inferolateral trunk:Branches to trigeminal ganglion - provide blood to trigeminal ganglionArtery of the foramen rotundumBranches to nervesC5: Branches from the clinoid portion - noneC6: Branches from the ophthalmic portionOphthalmic arterySuperior hypophyseal arteryC7: Branches from the communicating portionPosterior communicating arteryAnterior choroidal arteryAnterior cerebral artery (a terminal branch)Middle cerebral artery (a terminal branch)